Tumor with best prognosis is:
1. Ependymoma
2. Medulloblastoma
3. Cerebellar astrocytoma
4. Glioblastoma multiforme

Correct answer: 3. Cerebellar astrocytoma

Explanation: Answer is C (Cerebellar Astrocytomas): Most cerebellar astrocytomas are histologically Juvenile pilocytic astrocytomas. Juvenile pilocystic astrocytomas are benign and non infiltrating astrocytomas with an excellent prognosis (95% 5 year survival with surgery alone) Ependymomas are also histologically benign but carry a worse prognosis than cerebellar astrocytomas with (80% 5 year survival rate) Medulloblastomas and Glioblastoma Multiforme are malignant tumors with a poor prognosis.